Treatment of choice for Renal osteodystrophy -
1. Phosphorus
2. Olendronate
3. Calcium restriction
4. Phosphate binder

Correct answer: 4. Phosphate binder

Explanation: Treatment for renal osteodystrophy includes the drug cinacalcet hydrochloride , and synthetic calcitriol and calcium supplements. Proper diet and exercise can also help . Ref - harrisons internal medicine 20e , medicine.net